The preferred initial treatment for carcinoma of the anal canal is
1. Abdominoperineal resection
2. Abdominoperineal resection followed by radiotherapy
3. Radiotherapy alone
4. Chemoradiation

Correct answer: 4. Chemoradiation

Explanation: #Treatment is by chemoradiotherapy in the first instance # Associated with HPV # More prevalent in patients with HIV infection # May affect the anal verge or anal canal # Lymphatic spread is to the inguinal lymph nodes # Uncommon tumour, which is usually a squamous cell carcinoma # Major ablative surgery is required if the above fails Ref: Bailey & Love's Short Practice of Surgery,E25,Page-1269